Which of the following is not a cognitive distortion or error?
1. Thought block
2. Arbitrary inference
3. Over generalization
4. Dichotomous thinking

Correct answer: 1. Thought block

Explanation: Cognition refers to both the content of thought and the process involved in thinking. Cognitive distortions are errors in logic in the automatic thoughts and other cognition's of persons with emotional disorders. The cognitive errors described by Beck are arbitrary inference, selective abstraction, over generalization, maximization and minimization, personalization and dichotomous thinking. Thought block is an abnormality of continuity of thought. The patient experiences a break in the flow of thought through his mind and may feel that the missed thoughts were taken by some outside agency (Schizophrenia). Thought block does not reflect an error in logic/process of thinking and is not classified as a cognitive error. Ref: Learning Cognitive-Behavior Therapy: An illustrated Guide By Jesse H. Wright, page 9; Current Diagnosis & Treatment: Psychiatry, 2nd e dition By Michael H. Ebe, chapter 4; Theory-Directed Nursing Practice By Shirley Melat Ziegle 2nd edition chapter 4.